Nodular glomerulosclerosis is pathognomic for:
1. Antiphospholipid syndrome
2. Goodpasture's syndrome
3. Renal amyloidosis
4. Diabetic nephropathy

Correct answer: 4. Diabetic nephropathy

Explanation: Ans. D: Diabetic nephropathy The constellation of renal changes attributed to Diabetes mellitus are- Armanni-Ebstein lesion, aerionephrosclerosis, aeriolonephrosclerosis, chronic interstitial nephritis, diabetic glomerulosclerosis, fatty changes in renal tubules, glomerulonephritis, Kimmelstiel-Wilson disease--focal and segmental glomerulosclerosis, nephrotic syndrome, papillary necrosis, and pyelonephritis.